Which of the following factors is most important in the subsequent development of genital prolapse?
1. Poor tissue quality
2. Chronic straining at bowel movements
3. Menopause
4. Childbirth trauma

Correct answer: 4. Childbirth trauma

Explanation: Most important cause of prolapse in India is Child birth related trauma/ Bad conduct of Labour Atonicity Menopause Congenital weakness Multiparity Birth injuries Prolonged labour Perineal tear Pudendal nerve injury Operative delivery Multiparity Big baby Raised intra-abdominal pressure Chronic bronchitis